Parvovirus B-19 does not cause:
1. Roseola infantum
2. Aplastic anemia in sickle cell
3. Fetal hydrops
4. Collapsing FSGS

Correct answer: 1. Roseola infantum

Explanation: Ans. (a) Roseola infantum Roseola infantum or exanthem subitum is caused by HHV-6 and HHV-7 (rarely). Disc caused by Parvo virus: Erythema infectiosum Seronegative arthritis Aplastic crisis in hemolytic anaemia Fetal infection leading to non-immunohydrops fetalis Chronic anaemia in immunocompromised Hemophagocytic syndrome Severe anaemia in malarial patients.